Splenectomy is to be avoided in children because of-
1. Loss of blood forming tissue
2. Increased risk of infection
3. Hypercoagulable state
4. Increased risk of lymhoma

Correct answer: 2. Increased risk of infection